Fat necrosis occurs in?
1. Omentum
2. Brain
3. Heart
4. Kidney

Correct answer: 1. Omentum

Explanation: Heart & kidney - coagulative necrosis
Brain - liquefactive necrosis

Fat necrosis

Fat necrosis is of two types:-

1) Enzymatic fat necrosis

It is the most common type and is due to the action of lipase on adipose tissue. The most common cause is acute pancreatitis. The common sites of fat necrosis are adipose tissue contiguous to the pancreas(retroperitoneal fat); anterior mediastinum, bone marrow, omentum and abdominal fat

2) Traumatic (non-enzymatic) fat necrosis

It occurs due to trauma in the subcutaneous tissue of breast, thigh and abdomen